Cell lining of small intestine ?
1. Simple squamous
2. Stratified squamous
3. Simple columnar
4. Stratified columnar

Correct answer: 3. Simple columnar

Explanation: Simple columnar epithelium : It is made up of tall columnar cells. Simple columnar cells may be :i) Simple columnar epithelium (without cilia and microvilli) : Lining of stomach, large intestine, collecting duct and cervical canal.ii) Columnar epithelium with striated border (regularly arranged microvilli) : Lining of small intestine.iii) Columnar epithelium with brush border (irregularly placed microvilli) : Lining of gall bladder.iv) Ciliated columnar epithelium (presence of cilia) : Lining of uterus, fallopion tube, eustachian tube, tympanic cavity and central canal of spinal cord and ventricles.